Which of the following is an example for Transplacental carcinogenesis?
1. Vaginal Ca
2. Pancreatic Ca
3. Colon Ca
4. Breast cancer

Correct answer: 1. Vaginal Ca

Explanation: Ref: Shaw's Textbook of Gynaecology, 15th ed. pg :52 Explanation:Transplacental carcinogenesis is a series of genotypic or phenotypic changes in the cells of a fetus due to in utero exposure to carcinogens.Adenocarcinoma (clear cell carcinoma) was seen in the vagina in children whose mothers took Diethylstilbesterol for threatened abortion.